As per MCI regulations, a medical practitioner should maintain the records of in patients for a minimum period of
1. 2 years
2. 3 years
3. 4 years
4. 5 years

Correct answer: 2. 3 years

Explanation: (Refer: Rajesh Bardale - Principles of Forensic medicine & Toxicology, 1st edition, pg no: 32)
Every physician shall maintain the medical records pertaining to his / her indoor patients for a period of 3 years from the date of commencement of the treatment in a standard proforma laid down by the Medical Council of India